Marjolin's ulcer (after burn) predisposes to:
1. Basal cell carcinoma
2. Squamous cell carcinoma
3. Adenocarcinoma
4. Round cell carcinoma

Correct answer: 2. Squamous cell carcinoma

Explanation: Ans: B i.e. Squamous cell carcinoma Skin malignancy The strongest predisposing factor for basal cell carcinoma is ultraviolet radiation When a squamous cell carcinoma appears in a scar, it is known as Marjolin's ulcer